Axis is the name for:
1. IV cervical vertebra
2. III cervical vertebra
3. II cervical vertebra
4. I cervical vertebra

Correct answer: 3. II cervical vertebra

Explanation: Second cervical vertebra (axis)

Presence of odontoid process.
Transverse processes are small and lack the anterior tubercle.
Anterior margin of the inferior surface of the body projects downwards to a considerable extent.
Foramen transversarium is directed superolaterally (expand in typical vertebrae it is directed vertically)
Inferior surface presents a deep and wide inferior vertebral notch placed in front of the inferior articular process. The superior vertebral notch is shallow and is present behind the superior articular process.

Key concept:
Second cervical vertebra is called the axis. it is identiﬁed by the presence of the dens or odontoid process which is a strong, tooth-like process projecting upwards from the body. The dens is usually  believed to represent the centrum or body of the atlas which has fused with the centrum of the axis.